Which of the following cephalosporins does not need dose modifications even in presence of decreased GFR-
1. Cefipine
2. Cefoperazone
3. Cefotaxim
4. Cefuroxine

Correct answer: 2. Cefoperazone

Explanation: Ans. is 'b' i.e., Cefoperazone o Cefoperazone is primarily exreted in bile in contrast to other cephalosporins that are usually excreted by the kidney --> safe in renal failure. o Cephalosporins that can be used in presence of renal failure :- i) Cefoperozone, ii) Ceftriaxone, iii) Cefoperamide